All of the following are seen in cerebral malaria except -
1. Hyperglycaemia
2. Thrombocytopaenia
3. Acute respiratory distress syndrome
4. Heavy parasitemia

Correct answer: 1. Hyperglycaemia